Which of the following is not a cause of Cor pulmonale:
1. Intermittent pulmonary embolism
2. Kyphoscoliosis
3. COPD
4. Mitral stenosis

Correct answer: 4. Mitral stenosis

Explanation: Ans. D: Mitral stenosis Any condition that leads to prolonged high blood pressure in the arteries or veins of the lungs (called pulmonary hypertension) puts a strain on the right side of the heart. When this right ventricle fails or is unable to properly pump against these abnormally high pressures, this is called cor pulmonale. A few causes of cor pulmonale are: Chronic obstructive pulmonary disease (COPD) Obstructive sleep apnea Central sleep apnea Mountain sickness Cystic fibrosis Primary pulmonary hypertension Pneumoconiosis Kyphoscoliosis Interstitial lung disease Chronic thromboembolic pulmonary disease Pulmonary vascular disease Pulmonary hypertension